16-year-old female presents with primary amenorrhoea with B/L inguinal hernia. She has normal sexual development with no pubic hair. USG shows no uterus and overies and a blind vagina. Diagonosis is
1. Turner's syndrome
2. Mullerian agenesis
3. STAR syndrome
4. Androgen insensitivity syndrome

Correct answer: 4. Androgen insensitivity syndrome

Explanation: Androgenic insensitivity syndrome: Testicular feminisation syndrome Amenorrhea Absent or shallow vagina Normal female phenotype with well developed breast Scanty body hair No internal male or female genitalia Ref: Shaw Gynecology 17 e pg 69.